Which of the following is not a contraindication in
the therapy with opioids
1. Use in head injury patient
2. Use in impaired pulmonary function
3. Use of agonist with mixed agonist-antagonist
4. Use in severe constant pain

Correct answer: 4. Use in severe constant pain